During which phase' of cell cycle the cellular Content of DNA is doubled
1. Mitotic phase
2. G1phase
3. G2 phase
4. Sphase

Correct answer: 4. Sphase

Explanation: Ref Robbins 8/e p86; 7/e p90; 9/e p25 Double the DNA The S-phase portion of interphase is when the DNA content of a cell increases. Ordinarily, a cell has one set of chromosomes, which are threadlike structures that contain the cell's DNA. During the G1 phase, each chromosome contains one molecule of DNA.